Non invasive diarrhea is caused by:
1. Shigella
2. B. Cereus
3. Salmonella
4. Y. enterocolitica

Correct answer: 2. B. Cereus

Explanation: Answer is B (B. cereus) Bacillus cereus causes non invasive diarrhea due to preformed enterotoxins Shigella, Salmonella and Y. enterocolitica are causes of invasive diarrhea.